Sensorimotor neuropathy may be caused by all, except:
1. DM
2. Lead poisoning
3. Arsenic
4. Isoniazid

Correct answer: 2. Lead poisoning

Explanation: Answer is B (Lead poisoning): Inorganic lead poisoning is not associated with a sensorimotor neuropathy Inorganic lead poisoning is primarily associated with a pure motor neuropathy. Selective motor neuropathy with wrist drop is characteristic of lead poisoning. Conditions that may cause Sensorimotor Neuropathies Polyneuropathy associated with Sensorimotor neuropathies (Harrison) Systemic Disease Diabetes mellitus Sensory, Sensorimotor, Motor Uremia Sensorimotor Porphyria (3 types) Sensorimotor Vitamin deficiency excluding B12 Sensorimotor Chronic liver disease Sensory or Sensorimotor Primary systemic amyloidosis Sensorimotor Chronic obstructive lung disease Sensory or Sensorimotor Malabsorption (sprue, celiac disease) Sensory or Sensorimotor Carcinoma (sensorimotor) Sensorimotor Carcinoma (demyelinating) Sensorimotor Multiple Myeloma, lytic type Sensory, Motor or Sensorimotor MGUS IgA Sensori motor IgG Sensorimotor 1gM Sensorimotor or Sensory Cryoglobulinemia Sensorimotor Drugs Amiodarone (antiarrhythmic) Sensorimotor Aurothioglucose (antirheumatic) Sensorimotor Isoniazid Sensorimotor Metronidazole (antiprotozoal) Sensory or Sensorimotor Misonidazolc (radioscnsitizer) Sensory or Sensorimotor Environmental Toxins Arsenic (herbicide; insecticide) Sensorimotor Diptheria toxin Sensorimotor y-Diketone hexacarbons (solvents) Sensorimotor Organophosphates Sensorimotor Thallium (rat poison) Sensorimotor